A patient with a rational, sensible, calm and composed disposition is:
1. An exacting patient
2. A hysterical patient
3. An indifferent patient
4. A philosophical patient

Correct answer: 4. A philosophical patient